The cause of larva currens:
1. Strongyloides stercoralis
2. Necator americana
3. Ankylostoma duodenale
4. H. nana

Correct answer: 1. Strongyloides stercoralis

Explanation: Ans. A i.e. Strongyloides stercoralis Larva cu-ens is an itchy, cutaneous condition caused by infections with Strongyloides stercoralis that intermittently comes and goes every few hours